Joint which is usually spared in Osteoarthritis
1. Knee Joint
2. PIP
3. DIP
4. Wrist Joint

Correct answer: 4. Wrist Joint

Explanation: Joint spared in Osteoarthritis:

Wrist, Elbow, Ankle.
Metacarpo phalangeal joints.
Carpometacarpal joints (except base of thumb).